Schuller's view and laws view are for?
1. Sphenoid sinus
2. Mastoid air cells
3. Foramen ovale and spinosum
4. Carotid canal

Correct answer: 2. Mastoid air cells

Explanation: ANSWER: (B) Mastoid air cellsREF: Dhingra 4th ed p. 383Laws viewIt is the lateral oblique view of the mastoid.The patient lies in such a way that the sagittal plane of the skull is parallel to the film and X-ray beam is projected 15deg cephalocaudal Structures seen are:External auditory canal superimposed on the internal auditory canalMastoid air cellsTegmenLateral sinus plateTemporomandibular joint.(Key area of the mastoid, i.e. attic, aditus, and antrum are not well seen)Schuller's viewSimilar to Law's view but cephalocaudal beam makes an angle of 30deg to the sagittal.Structures seen are:External canal superimposed on the internal canalMastoid air cellsTegmenLateral sinus plateCondyle of mandibleSino-dural angleAntrum and upper part of the attic (i.e. key area).(This view is taken to see the extent of pneumatization, destruction of intercellular septa as in mastoiditis, the location of sinus plate and tegmen, cholesteatoma and longitudinal fracture of the petrous pyramid)